Mycobacterial species differentiated by all except
1. Catalase test
2. Amidase
3. Niacin
4. Oxidase

Correct answer: 4. Oxidase

Explanation: Ans. is 'd' i.e., Oxidase